All of the following are features of acute nongranulomatous iridocyclitis except:
1. Marked ciliary congestion
2. Numerous small keratic precipitates
3. Minimal aqueous flare
4. No iris nodules

Correct answer: 3. Minimal aqueous flare

Explanation: Ans. Minimal aqueous flare